A segment of a eukaryotic gene that is not represented in the mature messenger RNA is known as:
1. Intron
2. Exon
3. Plasmid
4. TATA box

Correct answer: 1. Intron

Explanation: A i.e. Intron